Most common cause of pyogenic liver abscess -
1. Diverticulitis
2. Stricture of CBD
3. Subdiaphragmatic abscess
4. Empyema in chest

Correct answer: 2. Stricture of CBD

Explanation: Ans. is 'b' i.e., Stricture of CBD Routes of infection to liverAlong the bile ducts (MC)Stone impacted in CBDStricture of CBD - benign, malignantCryptogenicVia the portal veinVia the hepatic arteryBy direct extensionFrom a subdiaphragmatic abscessFrom an empyema in chestFrom suppuratative cholecystitisFrom perinephric abscessPenetrating or blunt traumaAlso knowo MC organisms (Ref. Sabiston, Schwartz)Escherichia coliKlebsiella pneumoniaAlso noteo Sabiston 18th ed. writes that now there are 2 most common cause of liver abscess i.e. Cryptogenic and infections from the biliary tree. It writes- "Along with cryptogenic infections, infections from the biliary' tree are presently the most common identifiable cause of hepatic abscess ".